Section 174 Cr.P.C. deals with
1. Inquest
2. Inquiry
3. Murder
4. Medical negligence

Correct answer: 1. Inquest

Explanation: Ans. a (Inquest). (Ref. Parikh, Textbook of FMT, 5th/5)INQUEST (legal or judicial inquiry to ascertain matter of fact). : Section 174 Cr.P.C. -# When a person dies it is necessary to determine the cause of death either natural or unnatural to meet with the requirement of law.# In forensic, an inquest generally means an inquiry into the ca use of death (not due to natural cause).# Types of inquest in India:- Coroner's inquest (Mumbai and culcutta)- Police inquest- Magistrate inquest# Coroner's inquest was abolished in India in the year: 1999.# The most common type of inquest in India: Police inquest.# In India, inquest is NOT carried out by: Doctor# In case of death in prison, inquest can be conducted by: Executive Magistrate.# Supposed to be the best inquest internationally: Medical examiner's inquest.